Which of the following is used as fungal stain tissue biopsy sections? -
1. PAS
2. Alizarin red
3. LPCB
4. Masson Trichrome

Correct answer: 1. PAS

Explanation: picture from RAM DAS NAYAK 2nd Ed. pg no.32 see the description image Standard histological stains for fungi are Grocott (methanmine) silver (GMS) stain or Periodic acid-Schiff (PAS). The GMS stain is more sensitive than the PAS stain, but has a signal to noise issue in that it stainsinflammatory cells (lysosomes) and tissue reticulin, in addition to fungi.